Boot shaped Heart on chest radiograph is seen in
1. Tetralogy of fallot
2. TAPVC
3. TGA
4. Ebstein's anomaly

Correct answer: 1. Tetralogy of fallot

Explanation: Boot shaped Heart - Tetralogy of fallot Egg on side - TGA Snowman appearence / figure of eight - TAPVC Box shaped heart - Ebsteins anomaly